Lanuago hair appeas at :
1. 4 Months
2. 5 months
3. 6 months
4. 7 months

Correct answer: 1. 4 Months

Explanation: 4 months